To which of the following family of chemical mediators of inflammation, the lipoxins belong -
1. Kinin system
2. Cytokines
3. Chemokines
4. Arachidonic acid metabolites

Correct answer: 4. Arachidonic acid metabolites

Explanation: Lipoxins are a recent addition to the family of bioactive products generated from arachidonic acid.
15 Lox pathway is involved in the generation of lipoxins, i.e., Lipoxin A4 (LXA4) and Lipoxin B4
(LXB4).
Lipoxins can also be synthesized via 5-Lox pathway when 12-LOX acts on LTA4; and Via Aspirin-triggered
15- epi-lipoxins circuit